The most commonly used Titanium alloy for dental and medical purposes is
1. Ti 6Al 4V
2. Ti 5A1 4 V
3. Ti 5Al 5V
4. Ti 6Al 6 V

Correct answer: 1. Ti 6Al 4V